Socrates was killed by which poisoning:
1. Cyanide
2. Conium
3. Strychnine
4. Dhatura

Correct answer: 2. Conium

Explanation: Ans. Conium